Surgeries used in management of Meniere's disease are all Except
1. Endolymphatic shunt operation
2. Sacculotomy
3. Labyrinthectomy
4. Stapedectomy

Correct answer: 4. Stapedectomy

Explanation: Surgical treatments ib Meniere's disease are used only when medical treatment fails.a) Conservative procedures - Decompression of endolymphatic sac, Endolymphatic shunt operation, Sacculotomy(Fick's operation)., Section of the vestibular nerve, Ultrasonic destruction of vestibular labyrinth.b) Destructive procedures: Labyrinthectomyc) Intermittent low-pressure pulse therapy -Stapedectomy is used in otosclerosisDhingra 23e pg: 103